Most common site of lymphangioma is -
1. Axilla
2. Head and Neck
3. Groin
4. Heart

Correct answer: 2. Head and Neck

Explanation: • ANCA or antineutrophilic cytoplasmic antibodies are formed against certain proteins in the cytoplasm of neutrophils. Out of the given options, Wegener’s granulomatosis is most strongly associated with ANCA.